Which of the following statements regarding ACE iinnhibitor is true.
1. This inhibit the conversion of angiotensinogen to angiotensin 1
2. Omission of prior diuretic dose decrease the dose of Postal hypotension
3. Lisinopril is short acting than Enalapril
4. These are contraindicated in Diabetic patients

Correct answer: 2. Omission of prior diuretic dose decrease the dose of Postal hypotension

Explanation: This group of drug inhibitor enzyme kinases 2 or ACE. So this drug decreases the activity of RAAS. And also potentiate the action of vasodilatory of bradykinin Because these are prevented from conversion of angiotensin 1 to angiotensin 2. So these can decrease the action of former but not later This group of drug is more effective in sodium depleted state like diuretic use, because activity RAAS is more in such cases. This drug may cause postural hypotension in diuretic treated patient